Which among the following is the MOST lateral deep cerebellar nuclei?
1. Emboliform nucleus
2. Dentate nucleus
3. Globose nucleus
4. Fastigial nucleus

Correct answer: 2. Dentate nucleus

Explanation: Cerebellum consists of a cortex, white matter that lies immediately deep to the gray matter, and a series of nuclei referred to as deep cerebellar nuclei.The dentate nucleus is the largest, most laterally placed, and most conspicuous of the deep cerebellar nuclei. In cross section, it has the appearance of a crumpled band of cells, similar to that of the inferior olive. Its neurons target the ventrolateral nucleus of the thalamus. The most medial nucleus is called the fastigial nucleus, and its main projection targets include the reticular formation and vestibular neurons. Between the dentate and fastigial nuclei lie two smaller nuclei, the emboliform and globose nuclei.